An agonist is having?
1. Affinity with intrinsic activity is 1
2. Affinity with intrinsic activity is 0
3. Affinity with intrinsic activity is-1
4. None

Correct answer: 1. Affinity with intrinsic activity is 1

Explanation: The agonist is an agent which activates a receptor to produce an effect similar to that of the physiological signal molecule. Affinity is the ability to bind to the target(receptor) intrinsic activity is producing a response after binding Agonist have Affinity with intrinsic activity is 1 Ref; KD Tripathi pharmacology 7th edition (page no; 41)